Hypothermia is used in all except –
1. Neonatal asphyxia
2. Cardiac surgery
3. Hyperthermia
4. Arrythmia

Correct answer: 4. Arrythmia

Explanation: Induced hypothermia is used for neurosurgery, carotid artery surgery, cardiac surgery, traumatic brain injury, ARDS, malignant hyperthermia, Prolonged surgeries, neonatal encephalopathy caused by birth asphyxia.
Hypothermia induces arrhythmia, so it cannot be used in arrhythmia.